Which of the following is a glycolipid?
1. Cerebroside
2. Plasmalogen
3. Sphingomyelin
4. Phosphatidylcholine

Correct answer: 1. Cerebroside

Explanation: Classification of LipidsClassification of LipidsDescriptionExamplesSimple lipidsEsters of fatty acids with alcoholTriacylglycerol, WaxesCompound lipids Esters of fatty acids with alcohols along with additional compoundsa) Phospholipids Glycerophospholipid - Phosphatidylcholine, Phosphatidylethanolamine, Diphosphatidylglycerol, Plasmalogens, Phosphatidylinositol, PhosphatidylserineSphingolipid - Sphingomyelinb) Glycolipids:Cerebrosides (ceramide with monosaccharides)Gangliosides (ceramide + oligosaccharides + N-acetyl neuraminic acid) Derived lipids Lipids derived on hydrolysis of simple, compound lipids or precursors of lipidsFatty acids, glycerol, cholesterol, steroids, prostaglandins, leukotrienes, fat-soluble vitamins & Steroid hormonesLipids Complexed to other compounds Proteolipid, Lipoproteins (Refer: DM Vasudevan, Textbook of Biochemistry, 7th edition, pg no: 84)